Stomach contents will have smell of bitter almond in
1. Sulphuric acid poisoning
2. OP poisoning
3. Cyanide poisoning
4. Arsenic poisoning

Correct answer: 3. Cyanide poisoning

Explanation: Postmortem appearance Froth may be present at the mouth and nostrils. Postmortem staining and blood will have bright red color. In a case of suspected cyanide poisoning, cranial cavity has to be opened first because the odour of hydrocyanic acid is well evident in the brain. All the internal organs will be congested. Lungs will be congested and edematous. There may be corrosion of the mucosa of the mouth esophagus and stomach. Stomach will be intensely congested and the contents may have the smell of bitter almond. Ref: FORENSIC MEDICINE AND TOXICOLOGY Dr PC IGNATIUS THIRD EDITION PAGE 473